Component of Fallots tetralogy is
1. Left axis deviation
2. Left ventrucular hypertrophy
3. VSD
4. Blalock taussig shunt is between pulmonary artery & subclavian artery

Correct answer: 3. VSD

Explanation: The four components of the tetralogy of Fallot are malaligned VSD, obstruction to RV outflow, aortic override of the VSD, and RV hypertrophy due to the RV's response to aortic pressure the large VSD. ( Harrison's principle of internal medicine,18th edition,pg no. 1926)